Epidemiological features are for Japanese encephalitis include all of the following except ?
1. The virus infects extra-human hosts
2. Man is an incidental host
3. Infected pigs manifestation
4. Epidemics have been reported in Karnataka

Correct answer: 3. Infected pigs manifestation

Explanation: Ans. is 'c' i.e. Infected pigs manifestation o Infected pigs do not maniest any overt symptoms of illness but circulate the virus so that mosquito get infected and can transmit the virus to man. o All other options have been explained earlier.